The genetic inheritance of hemophilia is
1. Sex linked dominant
2. Sex linked recessive
3. Autosomal dominant
4. Autosomal recessive

Correct answer: 2. Sex linked recessive

Explanation: Robims basic pathology 6th edition chapter red cells and bleeding disorders. page no.639. Haemophilia is a sex linked(X-linked) recessive disorder . So disease manifests in all males and homozygous females.